False about CURB-65 criteria to assess pneumonia severity is:
1. Urea >7 mmol/L
2. Respiratory rate >=30/min
3. Systolic blood pressure <=100 mmHg
4. Diastolic blood pressure <=60 mmHg

Correct answer: 3. Systolic blood pressure <=100 mmHg

Explanation: Ans. C. Systolic blood pressure <=100mmHgCURB-65 includes systolic blood pressure <=90mmHg as criteria, not <=100mmHg.The CURB-65 is used to assess the severity of pneumonia.It includes five variables:* Confusion* Urea >7mmol/L* Respiratory rate >=30/min* Blood pressure, systolic <=90mmHgor diastolic<=60mmHg* Age >= 65 years